In a neonate, kidney is supplied by?
1. Internal pudendal artery
2. External iliac artery
3. Common iliac artery
4. Aorta

Correct answer: 4. Aorta

Explanation: Upto 5th week of intrauterine life, kidney is in lumbar region and renal arteries are branches of common iliac artery (see above explanation). After that, differential growth of abdominal wall causes the kidney to ascent to lumbar region. Adult position (lumbar region of abdomen) is attained by 9th week. Druing progressive ascent, the arteries to kidney are derived from different levels of aorta. After full ascent, definitive renal artery is branch of aorta at 2nd lumbar segment. Thus, neonatal kidney is supplied by aorta.